All of the following are true for patients of ulcerative colitis associated with primary sclerosing cholangitis, except
1. They may develop biliary chrrhosis
2. May have raised alkaline phosphatase
3. Increased risk of hilar cholangiocarcinoma
4. PSC reverts after a total colectomy

Correct answer: 4. PSC reverts after a total colectomy

Explanation: Schwartz writes "In patients with associated ulcerative colitis, the course of each disease seems independent of each other. Colectomy for the colitis makes no difference to the course of primary sclerosing cholangitis."
Ulcerative colitis is seen in about 2/3 of patients with sclerosing cholangitis, but the converse is not true. The prevalence of PSC in ulcerative colitis patients in only about 4%.

Also, know

Smoking is associated with decreased risk of both ulcerative colitis & primary sclerosing cholangitis!